Which of the following hormones is released from the posterior pituitary?
1. ACTH
2. Antidiuretic hormone
3. Growth hormone
4. Luetinizing hormone

Correct answer: 2. Antidiuretic hormone